Who is the principal advisor to the Union government in both medical and public health matter?
1. The central council of Health & Family welfare
2. Medical council of India
3. The Directorate General Health & Family Welfare
4. Union Ministry of Health & Family Welfare

Correct answer: 3. The Directorate General Health & Family Welfare